Hemoptysis is seen in what proportion of the post primary(adult type) tuberculosis?
1. 10-20%
2. 20-30%
3. 30-40%
4. 40-50%

Correct answer: 2. 20-30%

Explanation: Hemoptysis develops in 20-30% of cases, and massive hemoptysis due to erosion of a blood vessel in the wall of a cavity. May also result from rupture of a dilated vessel in a cavity (Rasmussen's aneurysm) or from aspergilloma formation in an old cavity. Reference: Harrisons Principles of Internal Medicine, 18th Edition, Page 1345